The component of vitreous humour that is most useful in determining time since death:
1. Sodium
2. Potassium
3. Magnesium
4. Calcium

Correct answer: 2. Potassium

Explanation: Ans. b (Potassium). (Ref. Parikh's textbook of FMT, 6th ed., 2.66)The relationship between the rise of potassium concentration in the vitreous humour and the time since death has been studied by several workers. To improve the accuracy of the method cases with possible ante-mortem electrolyte disturbances can be excluded. Having eliminated these cases with possible ante-mortem electrolyte imbalance, there is a linear relationship between potassium concentration in vitreous and time after death up to 120 hours, but the 95% confidence limits are +- 22 hours.